The risk factors for precipitation of renal failure while performing 1VP include
1. Myeloma
2. Diabetes
3. Old age
4. All of the above

Correct answer: 4. All of the above

Explanation: (D) All of the above # Contraindications for IVP:> An IVP necessitates the injection of contrasts and is relatively contraindicated in patients with an increased risk for developing acute renal failure (e.g., diabetes mellitus with serum creatinine > 2 mg.dL, severe volume contraction, or prerenal azotemia), chronic renal failure with serum creatinine greater than 5 mg/dL, and multiple myeloma.> IVP contraindicated in Multiple myeloma and oldage.